Brain sparing effect on Doppler is seen in which vessel?
1. Umbilical artery
2. Fetal MCA
3. Fetal ductus venosus
4. Uterine artery

Correct answer: 2. Fetal MCA

Explanation: Ans BBrain sparing effect is loss of normal high resistance flow in the MCA secondary to shunting of blood to important structures in fetal hypoxia.